Anorcha is best diagnosed by ?
1. USG
2. SPECT
3. CT
4. Laparoscopy

Correct answer: 4. Laparoscopy

Explanation: Anorchism is a condition where there is complete agenesis of testis. It is one of the causes for maldescended testis(one that cannot be made to touch the bottom of the scrotum ) along with undescended testis, cryptorchidism and ectopic testis. Vanishing testis - testis develops but disappears before birth probably due to prenatal torsion.True agenesis of the testis is rarer. Laparoscopy is useful in distinguishing these causes of clinically absent testis from intra-abdominal maldescent.Reference : page 1079 SRB's manual of surgery 5th edition and page 1379 Bailey and Love's short practice of surgery 25th edition